A patient is found to be positive only for Anti HBsAg. All other viral markers are negative.The likely diagnosis is :
1. Vaccination
2. Chronic hepatitis B
3. Acute hepatitis B
4. Fulminant hepatitis B

Correct answer: 1. Vaccination

Explanation: Answer is A (Vaccination) Isolated Anti-HBs Ag in serum is seen in immunization with HB.s Ag. Possible Causes of Isolated Anti-HBsAg Positivity in serum (Other markers negative) Immunization with HBsAg (after vaccination) Hepatitis B in the remote past (?) False-positive